Sclerotic bodies 3-15u in size, multiseptate, chestnut brown colour seen in -
1. Rhinosporidiosis
2. Chromoblastomycosis
3. Phaeohyphomycosis
4. Histoplasmosis

Correct answer: 2. Chromoblastomycosis